All of the following statements about primary Gouty arthritis are true, Except -
1. 90% of cases are caused by over production of uric acid
2. Uric acid levels may be normal at the time of an acute attack
3. Men are more commonly affected than women (Male > Females)
4. Definitive diagnosis requires aspiration of synovial fluid

Correct answer: 1. 90% of cases are caused by over production of uric acid